Reye syndrome false is?
1. Associated with salicylate ingestion
2. Hepatomegaly
3. Jaundice
4. Hypoglyemia

Correct answer: 3. Jaundice

Explanation: Ans. is 'c' i.e., Jaundice Reve syndrome Detrimental effects to many organs, especially the brain and liver, as well as causing low blood sugar and increase ammonia level. Secondary Mitochondria hepatopathy H/o viral injection (Influenza, varicella) & salicylate interactions. Higher mortality rate. The disease causes fatty liver with minimal inflammation and cerebral edema (swelling of the brain). Jaundice is not usually present. With raised enzyme with normal bilirubin. Children of ages 4 to 12 are most commonly afflicted. Early diagnosis is vital; although most children recover with supportive therapy, it may lead to severe brain injury and death